Middle meningeal artery is a branch of
1. 1st part of maxillary artery
2. 2nd part of maxillary artery
3. 3rd part of maxillary artery
4. External part carotid artery

Correct answer: 1. 1st part of maxillary artery

Explanation: First part of maxillary artery 1.deep auricular 2.anterior tympanic 3.middle meningeal 4. Accessory meningeal 5.inferior alveolar Second part of maxillary artery 1.masseteric 2.deep temporal 3.pterygoid 4.buccal Third part of maxillary artery 1.posterior superior alveolar 2.infraorbital 3.greater palatine 4.pharyngeal 5. Artery of pterygoid canal 6.spenopalatine Ref BDC volume 3;sixth edition pg 119